Council man bodies are seen in :
1. CVC liver
2. Acute viral hepatitis
3. Wilson disease
4. Cirrhosis

Correct answer: 2. Acute viral hepatitis

Explanation: Acute viral hepatitis